Korsakoff's syndrome true is
1. Cerebral Cortex is mostly affected
2. Learning is relatively normal
3. Retrograde memory is not affected
4. Confabulation may be present

Correct answer: 4. Confabulation may be present

Explanation: Dirt.e. Confabulation may be present